A patient after sustaining RTA, developed fracture left shaft of femur with guarding and rigidity in the abdomen. He is hemodynamically unstable. Whats the next step in management
1. Open reduction and fixation of femur
2. CECT abdomen
3. Stabilize the fracture and monitor the patient and do eFAST
4. Stabilize the fracture only

Correct answer: 3. Stabilize the fracture and monitor the patient and do eFAST

Explanation: In a pt with multiple injuries, they are treated according to severity Hemodynamically unstable pts eFAST is done.